The most common location of hypertensive intracranial haemorrhage is
1. Subarachnoid space
2. Cerebellum
3. Basal ganglia
4. Brain stem

Correct answer: 3. Basal ganglia

Explanation: Most common locations of hypertensive intraparenchymal hemorrhage are basal ganglia (especially the putamen) thalamus cerebellum ports It usually results from spontaneous rupture of small penetrating artery deep in the brain. Ref : Harrison, 17/e p2531